A patient complains of frequent dislocation of the temporomandibular joint and frequent bleeding from gums, on examination, it was noticed that gingival tissue is very fragile, what should be the diagnosis:
1. Lichen planus.
2. Pemphigus.
3. SLE
4. Ehlers-Danlos syndrome.

Correct answer: 4. Ehlers-Danlos syndrome.

Explanation: The oral mucosa was of normal color but was excessively fragile and bruised easily. Although the mucosa did not hold sutures satisfactorily, healing was only slightly retarded and there was no defective scar formation. No remarkable hyperextensibility of mucous membrane could be demonstrated, and the patients had no difficulty in wearing dentures. The gingival tissues appeared fragile and bled after tooth brushing, gingival hyperplasia and fibrous nodules were also noted. Tooth mobility was not increased. Hypermobility of the temporomandibular joint, resulting in repeated dislocations of the jaw, has been reported.